All of the following are muscular boundaries of Anatomical Snuff Box except
1. Abductor Pollicis Longus
2. Extensor Pollicis Brevis
3. Extensor Pollicis Longus
4. Abductor Pollicis Brevis

Correct answer: 4. Abductor Pollicis Brevis

Explanation: The anatomical snuffbox is a triangular depression on the lateral side of the wrist. It is seen best when the thumb is extended. It is bounded anteriorly by tendons of the abductor pollicis longus and extensor pollicis brevis, and posteriorly by the tendon of the extensor pollicis longus. It is limited above by the styloid process of the radius. The floor of the snuffbox is formed by the scaphoid and the trapezium and is crossed by the radial artery, radial nerve, and cephalic vein Reference: Vishram Singh Anatomy; 2nd edition; Page no: 157